Consider the following features - Asian Male, Alcoholic cirrhosis, hypervascular lesion during arterial phase of CT and portal vein thrombosis. The above features are mostly suggestive of
1. Cholangiocarcinoma
2. Hepatocellular carcinoma
3. Metastatic colorectal carcinoma
4. Neuroendocrine tumors

Correct answer: 2. Hepatocellular carcinoma

Explanation: Most prevalent in Asia and Sub Sahara Africa Alcohol cirrhosis is high risk factor for HCC Non invasive Diagnostic criteria for HCC Focal lesion 1-2 cm : Two imaging techniques with arterial hypervascularization and venous washout Focal lesion >2cm : One imaging technique with arterial hypervascularization and venous washout Techniques to be considered are Dynamic CT and MRI Ref:Sabiston 20th edition Pgno :1458-1463